Sensory fiber with least conduction velocity:
1. C- fiber
2. Alpha fiber
3. beta fiber
4. Gamma fiber

Correct answer: 1. C- fiber

Explanation: Ans. A: C- fiberAlpha fibers are the thickest (fiber diameter of 12-20 micrometer) and fastest conduction velocity (of 70-120 mis) whereas C-fibers are the thinnest (fiber diameter of 0.3-1.2 micrometer) and slowest conduction velocity (of 0.5-2 m/s)